In congenital diaphragmatic hernia all are seen except-
1. Common on left side
2. Abdominal distension
3. Can be detected antenatally
4. Heart beat shifted to right

Correct answer: 2. Abdominal distension